Recurrent dislocation is least common in
1. Shoulder
2. Knee
3. Patella
4. None

Correct answer: 2. Knee

Explanation: B i.e. Knee * Recurrent dislocation is most common in shoulder jointQ, accounting for nearly 50% of all dislocations.* Anterior shoulder dislocation of subcoracoid typeQ (> anterior subclavicular type) is most common type of shoulder dislocation.